Post-hepatic Portal Hypertension is caused by?
1. Portal vein thrombosis
2. Banti Syndrome
3. Budd-Chiari Syndrome
4. Congenital hepatic fibrosis

Correct answer: 3. Budd-Chiari Syndrome

Explanation: Post-sinusoidal causes of Portal hypertension include: Budd-Chiari syndrome and Venoocclusive disease.